What is the most common ocular manifestation in rheumatoid arthritis?
1. Scleritis
2. Episcleritis
3. Keratoconjunctivitis sicca
4. Anterior uveitis

Correct answer: 3. Keratoconjunctivitis sicca

Explanation: Ans. (c) Keratoconjunctivitis siccaRef: Smolin and Thoft's The cornea, 4/e, p. 517* MC systemic association of episcleritis is Rheumatoid arthritis